A drug that binds to a receptor at a site distinct from the active site and alters the affinity of the receptor for the endogenous ligand is a:
1. Competitive antagonist
2. Inverse against
3. Partial agonist
4. Allosteric modulator

Correct answer: 4. Allosteric modulator

Explanation: Ans. d. Allosteric modulatorRef: Goodman Gilman 13th E/P36An allosteric modulator or antagonist is a drug that binds to a site different than target and leads to a decrease affinity of another drug for that target.An allosteric agonist or co-agonist is a drug that binds to a site different than target and leads to an increase affinity of another drug for that target.